Preferred fuel for body in fasting state:
1. Carbohydrates
2. Fats
3. Proteins
4. Amino acids

Correct answer: 2. Fats

Explanation: The preferred fuel for the body in:- Fed state is mainly Carbohydrates i.e. Glucose. Fasting state is mainly Fats. Fats stored in adipose tissues are broken down to fatty acids to give energy during fasting and starvation.